True about Mantle cell Lymphoma is all except
1. Type of Non-Hodgkin's Lymphoma
2. Carries poor prognosis
3. Common in old people
4. It is inheritable Lymphoma

Correct answer: 4. It is inheritable Lymphoma

Explanation: Mantle cell Lymphoma is an acquired genetic disorder. It is neither communicable nor inheritable.